A 25 years old female comes to your clinic for evaluation of infertility. A hysterosalpingogram reveals Asherman's syndrome. What symptoms will the patient have?
1. Menorrhagia
2. Oligomenorrhea
3. Polymenorrhea
4. Hypomenorrhea

Correct answer: 4. Hypomenorrhea

Explanation: Ans. is d, i.e. HypomenorrheaThe typical presenting symptom in adenomyosis is hypomenorrhea, i.e. less blood loss during menstruation.